Ultrasonography of a pregnant female's uterus shows 'Snow storm appearance', which is indicative of:
1. TB fallopian tube
2. Hydramnios
3. H. mole
4. Adenomyosis

Correct answer: 3. H. mole

Explanation: Characteristic echogram of molar pregnancy is 'snow storm' appearance due to multiple small sonolucencies due to the hydropic villi. Fetal tissues and amniotic sac are absent. In contrast, sonographic features of a partial molar pregnancy include a thickened, hydropic placenta with a concomitant fetus. Ref: Hoffman B.L., Schorge J.O., Schaffer J.I., Halvorson L.M., Bradshaw K.D., Cunningham F.G., Calver L.E. (2012). Chapter 37. Gestational Trophoblastic Disease. In B.L. Hoffman, J.O. Schorge, J.I. Schaffer, L.M. Halvorson, K.D. Bradshaw, F.G. Cunningham, L.E. Calver (Eds), Williams Gynecology, 2e.